Subepithelial bulla is:
1. Herpes zoster.
2. Pemphigus.
3. Bullous pemphigoid.
4. Hailey Hailey disease.

Correct answer: 3. Bullous pemphigoid.